Inducing agent of choice in shock ?
1. Isoflurane
2. Desflurane
3. Ketamine
4. Thiopentone

Correct answer: 3. Ketamine

Explanation: Ans. is 'c' i.e., Ketamine Inducing agent of choice in Asthma & COPD Ketamine. Inhalational agent of choice in Asthma & COPD --) Halothane.